Low serum hepatoglobin in hemolysis is masked by
1. Pregnancy
2. Liver Disease
3. Bile duct Obstruction
4. Malnutrition

Correct answer: 3. Bile duct Obstruction

Explanation: In case of Bile duct obstruction, serum haptoglobin not excreted properly, so their levels falsely normal even in Intravascular hemolysis.